Sites where HMP shunts can occur include
1. Liver
2. Lactating mammary gland
3. Testes
4. All of these

Correct answer: 4. All of these

Explanation: HMP shunt occurs in the cytosol. It is highly active in liver, adipose tissue, adrenal cortex, lens, cornea, lactating (but not the nonlactating) mammary gland, gonads (testis, ovary) and erythrocytes. The activity of this pathway is minimal in muscle and brain, where almost all of the glucose is degraded by glycolysis.